All the following hormones are secreted by placenta except:
1. hCG
2. TRH
3. ACTH
4. Insulin

Correct answer: 4. Insulin

Explanation: Protein hormones produced by human placentaHuman chorionic gonadotropinPlacental lactogenACTHGnRHThyrotropin Growth hormone releasing hormoneGrowth hormone variantNeuropeptide YParathyroid hormone releasing proteinInhibinActivinRelaxin(Ref: William's Obstetrics; 25th edition)